Pinku, a 9-year old girl, has difficulty in combing her hair and climbig up stairs since 6 months. On examination, Gower sign is positive and maculopapular rash present over MCP joints. What is the next appropriate investigation to be done ?
1. RA factor
2. Serum creatine kinase
3. Electromyography
4. Muscle biopsy

Correct answer: 2. Serum creatine kinase

Explanation: Proximal muscle weakness and maculopapular rsah over the metacarpophalangeal joints (Gottron papules) are suggestive of dermatomyositis. As it is an inflammatory myopathy, the next investigation is serum creatine kinase. The gold standard investigation is an muscle biopsy. Ref: nelson textbook of pediatrics 21st edition PGno:1283